Lumbar puncture was done in a patient with raised intracranial tension. The patient died suddenly on the table. The cause of the death is most likely to be
1. Middle cerebral artery hemorrhage
2. Tentorial herniation
3. Rupture of an aneurysm
4. Loss of CSF

Correct answer: 2. Tentorial herniation

Explanation: (B) Tentorial herniation # Lumbar puncture was done in a patient with raised intracranial tension. The patient died suddenly on the table. The cause of the death is most likely to be:- Tentorial herniation